In TCA cycle, citrate is converted into, after losing a molecul of H20 -
1. Isocitrate
2. Cis-aconitate
3. Oxaloacelate
4. Glutarate

Correct answer: 2. Cis-aconitate

Explanation: B i.e. Cis aconitate